True about femoral nerve are all except
1. Lies outside femoral sheath
2. Saphenous is largest cutaneous branch
3. Supplies femoral artery
4. Root value L2-L5

Correct answer: 4. Root value L2-L5

Explanation: FEMORAL NERVE:- Chief nerve of anterior compartment of thigh. Largest branch of lumbar plexus. Root value: Dorsal division of anterior primary rami of spinal nerves L2,L3 and L4. Course enters femoral triangle by passing behind the inguinal ligament just lateral to the femoral artery.In thigh, lies in groove between iliacus and psoas major, outside the femoral sheath, and lateral to the femoral artery. The nerve is not included in femoral sheath as its formation is behind the fascia iliaca which is forming posterior wall of sheath.After a short course of about 4 cm below the inguinal ligament, nerve divides into anterior and posterior division which are separated by lateral circumflex femoral artery. Branches:-1. Anterior division:Muscular-sartorius Cutaneous- medial and intermediate cutaneous nerve of thigh.Articular and vascular-sympathetic fibres to femoral artery.2. Posterior division Muscular-vastus medialis,intermedialis , lateralis and rectus femoris.Cutaneous-saphenous Articular-knee joint,hip joint. {Reference: BDC 6E page no.172}